Which of the following Orofacial pain is not associated with vascular origin?
1. Cluster headache
2. Giant cell arteritis
3. Anaesthesia dolorosa
4. Chronic paroxysmal hemicrania

Correct answer: 3. Anaesthesia dolorosa